IgA nephropathy is characterized by all of the following except
1. Hypertension
2. Hematuria
3. Nephritic syndrome
4. Renal biopsy having thin basement membrane

Correct answer: 4. Renal biopsy having thin basement membrane

Explanation: Benign familial Hematuria is common Heriditary entity manifested clinically by familial asymptomatic Hematuria -usually uncovered on routine urinalysis - and morphologically by diffuse thinning of GBM to widths between 150 and 225nm Refer 9/e p925